The complication that can occur with internal podalic version for transverse lie is :
1. Uterine rupture
2. Uterine atony
3. Cervical laceration
4. Vaginal laceration

Correct answer: 1. Uterine rupture

Explanation: Ans. is a i.e. Uterine rupture Internal Podalic Version is done in case of transverse lie / oblique lie after deeply anaesthetizing the patient, by introducing the hand in uterine cavity and turning the fetus manually so that it becomes breech presentation. The only indication of ;ntemal podalic version in modern day obstetrics is delivery of second twin. This procedure has been abandoned because of the high incidence of uterine rupture associated with it. Hazards of Internal Podaldeg Maternal risk Placental abruption Rupture of the uterus Increased morbidity Fetal risk Asphyxia Cord prolapse Intracranial haemorrage, fetal trauma (and hazards of breech delivery)